All except in brown sequard syndrome
1. Ipsilateral pyramidal tract features
2. C/L dorsal column
3. C/L spinothalmic
4. Insilateral Dianter extensor

Correct answer: 2. C/L dorsal column

Explanation: . *Ipsilateral dorsal column features are affected because they do not cross to opposite side until they reach medulla. Ref Harrison20th edition pg 2667